All of the following may be present in Duane's retraction syndrome except
1. Suppression
2. Head turn
3. Narrowing of palpebral aperture in abduction
4. Limitation of abduction

Correct answer: 3. Narrowing of palpebral aperture in abduction

Explanation: RESTRICTIVE SQUINT Duane's retraction syndrome : It is a congenital ocular motility defect occurring due to fibrous tightening of lateral or medial or both rectus muscles. Its features are: 1) Limitation of abduction (type I) or adduction (type II) or both (type III). 2) Retraction of the globe and narrowing of the palpebral fissure on attempted adduction. 3) Eye in the primary position may be orthotropic, esotropic or exotropic. Ref:- A K KHURANA; pg num:-335